Wandering acetabulum is seen in
1. Septic arthritis of Hip
2. TB Hip
3. Transient synovitis of Hip
4. Psoas abscers

Correct answer: 2. TB Hip